In cyclooxygenase (COX) pathway of the arachidonic acid (AA') metabolism, which of the following products helps to promote the platelet aggregation and vasoconstriction?
1. C5a
2. Thromboxane A2
3. Leukotriene B4
4. C1 activators

Correct answer: 2. Thromboxane A2

Explanation: C5a - is anaphylatoxin and chemotactic LTB4 - is chemotactic Arachidonic acid metabolites cyclooxygenase pathway